The following statements about Fanconi's anaemia are true except
1. Progressive pancytopenia
2. Increased predisposition to malignancy
3. Autosomal dominant inheritance
4. Associated skeletal abnormalities involving thumb and radius

Correct answer: 3. Autosomal dominant inheritance

Explanation: Fanconi's Anemia, an autosomal recessive disorder, manifests as congenital developmental anomalies, progressive pancytopenia, and increased risk of malignancy.